Sperms become motile in-
1. Prostate
2. Seminal vesicles
3. Epididymis
4. Vas deferens

Correct answer: 3. Epididymis

Explanation: Ans. is 'c' is Epididymis "Spermatozoa leaving the testis are not fully mobile. They continue their maturation and acquire motility during their passage through the epididymis*.Sperms are stored in Seminal vesicle*